Trisomy 13 is identified as:
1. Edward's syndrome
2. Patau's syndrome
3. Down's syndrome
4. Klinefelter's syndrome

Correct answer: 2. Patau's syndrome

Explanation: Trisomy 13 = Patau's syndrome Trisomy 18 = Edward's syndrome Trisomy 21 = Down's syndrome Extra X chromosome = Klinefelter syndrome( 47 XXY)